The Most Common Benign tumor in less than 20 years age group is
1. Osteochondroma
2. Ossifying fibroma
3. Chondroblastoma
4. Osteoclastoma

Correct answer: 1. Osteochondroma

Explanation: (A) Osteochondroma # Osteochondroma is the most common benign bone tumor. These tumors are often diagnosed as an incidental finding. They account for approximately 35% of benign bone tumors and 9% of all bone tumors. Most are asymptomatic, but they can cause mechanical symptoms depending on their location and size.> The actual frequency of osteochondromas is unknown because many are not diagnosed. Most are found in patients younger than 20 years.> Osteochondromas are located adjacent to growth plates and they develop away from the growth plate with time because they are essentially isolated growth plates. They are affected by and respond to various growth factors and hormones in the same manner as epiphyseal growth plates, and the growth of the osteochondroma should cease at skeletal maturity.> Although they can be located almost anywhere in the skeleton, almost half of osteochondromas are found around the knee, in either the distal femur or the proximal tibia> Osteochondromas are most commonly diagnosed incidentally based on a radiograph obtained for some other reason. The second most common presenting symptom is a mass, which may or may not be associated with pain.> The pain is usually the result of mechanical symptoms that the osteochondroma causes by a direct mass effect on the overlying soft tissue. This can result in an associated sac or bursitis over the exostosis. Irritation of surrounding tendons, muscles, or nerves can result in pain.> Pain may also be due to fracture of a pedunculated ostoechondroma or malignant transformation.